'Peg cells' are seen in:
1. Fallopian tubes
2. Ovary
3. Vulva
4. Vagina

Correct answer: 1. Fallopian tubes

Explanation: PEG cells are the epithelial cells of fallopian tubes Fallopian tube is lined by ciliated columnar epithelium